Which is/ are wrong regarding an intravenous anesthetic agent
1. Is used for induction of anesthesia
2. Can be used as the sole agent for anesthesia
3. Can be used to supplement regional anesthesia
4. Is not used for sedation

Correct answer: 4. Is not used for sedation

Explanation: All intravenous anesthetic agent can be used for sedation in less concentration. ketamine , propofol very commonly in lesser dose used for sedation.